Which of the following is the earliest indicator of pathological gastroesophageal reflux in infants (GERD)?
1. Respiratory symptoms
2. Postprandial regurgitation
3. Upper GI bleed
4. Stricture esophagus

Correct answer: 1. Respiratory symptoms

Explanation: * Presence of respiratory symptoms point towards pathological GERD * Stricture esophagus and upper GI bleeding are complications due to severe GERD.